Which of the following is the function of MHC I and II?
1. Signal transduction in T cells
2. Antibody class switching
3. Antigen presentation to T cells
4. Increase the secretion of cytokines

Correct answer: 3. Antigen presentation to T cells

Explanation: The function of MHC molecules is to display peptide fragments of protein antigens for recognition by antigen specific T cells.